The percentage of glutaraldehyde, as a medicament
during primary tooth pulpotomy is
1. 4.00%
2. 3.00%
3. 1.50%
4. 2.00%

Correct answer: 4. 2.00%